Active form of Vitamin D ?
1. Cholecalciferol
2. Calcifediol
3. Calcitriol
4. 25-hydroxy cholecalciferol

Correct answer: 3. Calcitriol

Explanation: Ans. is 'c' i.e., CalcitriolVitamin D Vitamin D is the major vitamin involved in the absorption of calcium.Beside dietary intake, cutaneous synthesis is the other and more important source of vitamin D (cholecalciferol) in the body. The keratinocytes of stratum corneum of the epidermis of skin contain 7-dehydrocholesterol which is converted to Vitamin D3 (cholecalciferol) by the action of sunlight (UV light).This vitamin D3 (Cholecalciferol) is converted to calcidiol (calcifediol or 25 hydroxy cholecalciferol or 25-hydroxy vitamin D3) by 25 hydroxylase in the liver.Calcidiol is the major circulating form of vitamin D3.Calcidiol is then converted to Calcitriol (1-25 dihydroxy-cholecalciferol or 1-25 dihydroxy vitamin D3) by 1-a hydroxylation in kidney.The final hydroxylation in kidney is rate limiting step.Calcitriol is the active form of vitamin D.Dietary vitamin D is absorbed in ileum and requires bile salts.When Ca2 level is high, little calcitriol is produced, and the kidney produce the relatively inactive metabolite 24, 25 dihydroxycholecalciferol instead.